A young woman enters puberty with approximately 40,000 primary oocytes in her ovary. About how many of these primary oocytes will be ovulated over the entire reproductive life of the woman
1. 40,000
2. 35,000
3. 480
4. 48

Correct answer: 3. 480

Explanation: Over her reproductive life, a woman will ovulate approximately 480 oocytes. A woman will ovulate 12 primary oocytes per year, provided that she is not using oral contraceptives, does not become pregnant, or does not have any anovulatory cycles. Assuming a 40-year reproductive period gives 40 x12 =480.